A female of 30 years complains of chord like structures on her arm and breast without any history of injury and infection, these cords are best demonstrated on elevation of the hand, what is the most possible diagnosis?
1. Poland syndrome
2. Teitz disease
3. Mondor's disease
4. Ductectasia

Correct answer: 3. Mondor's disease

Explanation: Ans. (c) Mondors disease.This is condition is seen in females due to thrombophlebitis of the superficial veins of the breast and anterior chest wall. In the absence of any previous injury and infection if there is thrombosed subcutaneous cord s that's highly suggestive of mondor's disease.Image source- style="font-family: Times New Roman, Times, serif">